Drug used in unstable angina to prevent Myocardial infarction is
1. Aspirin
2. GTN
3. Amlodipine
4. Fasudil

Correct answer: 1. Aspirin

Explanation: Aspirin is an antiplatelet agent used mostly in unstable angina to prevent MI. Ref: KD Tripathi 8th ed.